HbH is characterized by
1. Deletion of three alpha genes
2. Deletion of three alpha and one beta gene
3. Deletion of two alpha and two beta genes
4. Deletion of four alpha genes

Correct answer: 1. Deletion of three alpha genes

Explanation: Answer- A. Deletion of three alpha genesHbH disease- Deletion of three alpha genes (--/-alpha)- hemolytic anemia